Highest mortality in pregnancy
1. Fallot's tetrologv
2. Coarctation of aorta
3. Marfan’s syndrome
4. Eisenmenger syndrome

Correct answer: 4. Eisenmenger syndrome

Explanation: Eisenmenger syndrome

These patients have pulmonary hypertension with shunt (right to left) through an open ductus or ASD or VSD.
Maternal mortality is high i.e. 50% & so is a perinatal loss (50%).
Fallot’s tetralogy, coarctaion of aorta & Marfan's syndrome hav mortality’ rate of 5-10%, 3-9% & 25% respectively